The most common histological variant of renal cell carcinoma is:
1. Clear cell type
2. Chromophobe type
3. Papillary type
4. Tubular type

Correct answer: 1. Clear cell type

Explanation: Answer is A (Clear cell type) Clear cell carcinomas are the most common histological type of Renal cell carcinoma Carcinoma Type Frequency Place of origin Cell of origin Cytogenetics Growth Pattern Clear cell 60% Cortex Proximal tubule 3p- Acinar or sarcomatoid Papillary 5-15% Cortex Proximal tubule +7, +17, -Y Papillary or sarcomatoid Chromophobic 5-10% Cortex Cortical collecting duct Hypodiploid Solid, tubular. or sarcomatoid Oncocytic 5-10% Cortex Cortical collecting duct Undetermined Tumor nests Collecting duct < I% Medulla Medullary collecting duct Undetermined Papillary or sarcomatoid